Which one of the following is not a part of triad of Balint's syndrome
1. Oculomotor apraxia
2. Optic ataxia
3. Simultanagnosia
4. Acalculia

Correct answer: 4. Acalculia

Explanation: Acalculia is a feature in Gertsmann's syndrome.